Pneumococcus producing mucoid colonies most often is type
1. I
2. II
3. III
4. IV

Correct answer: 3. III

Explanation: Pneumococci on blood agar, after incubation for 18 hours, the colonies are small, dome-shaped with an area of greenish discoloration ( alpha hemolysis). some strains streptococcus pneumoniae type III and VII form large mucoid colonies due to the abundance of capsular material. Reference: Textbook of Microbiology; Anathanarayan and panicker's; 10th edition; Page no: 224